A patient presented with defective adduction of the hip joint with pain in the knee and hip joint, the nerve involved is?
1. Obturator nerve
2. Tibial nerve
3. Femoral nerve
4. Saphenous nerve

Correct answer: 1. Obturator nerve

Explanation: Obturator nerve is the largest nerve formed from the anterior divisions of lumbar plexus (L2,L3,L4).The roots unite within the posterior part of psoas, and then descends through psoas and runs downward over sacral ala into lesser pelvis, lying lateral to ureter and internal iliac vessels. They enter the upper part of the obturator foramen and then subsequently divides into anterior and posterior branches. Anterior Division:Muscular branches: To the following muscles;GracilisAdductor brevisAdductor longusPectineus (variable)Articular branches: To hip jointSensory branches: To medial aspect of thigh Posterior Division:Muscular branches: To the following muscles;Obturator externusAdductor part of adductor magnusAdductor brevis (variable)Articular branch: To knee joint Must know:Adductor magnus has double nerve supply. Its adductor part is supplied by the obturator nerve, while its hamstring part is supplied by the tibial part of the sciatic nerve. The pectineus also has a double innervation; its anterior fibres are supplied by the femoral nerve and the posterior fibres by the obturator nerve.